Absolute contraindication for IUCD is/ are
1. Puerperal sepsis
2. Current STD
3. Uterine anamoly
4. All the above

Correct answer: 4. All the above

Explanation: Who category 4: absolute contraindications for use of IUP:
Immediate post spec abortion
Uterine anomaly
Pregnancy
Pelvic tuberculosis

Vaginal bleeding supicious/unexplaned

Current pelvic inflammatory disease (PID)/ Current STDs
Puerperal sepsis
Malignant trophoblast disease
Cervical cancer
Current STSs
Endometrial cancer
Uterine fibrosis with distortion of the uterine cavity